Which of the following drug effects closely mimics "Schizophrenia".
1. Barbiturates
2. Cocaine
3. Phencyclidine
4. Levodopa

Correct answer: 3. Phencyclidine

Explanation: Though both levodopa and cocaine can cause psychotic symptoms, phencyclidine resembles schizophrenia most closely.